The features of genetic coding are all of the following, EXCEPT:
1. Degeneracy
2. Without punctuation
3. Overlapping of codons
4. Unambiguous

Correct answer: 3. Overlapping of codons

Explanation: The reading of the genetic code during the process of protein synthesis does not involve any overlap of codons. Thus, the genetic code is nonoverlapping. Features of the Genetic Code: Degenerate Unambiguous Nonoverlapping Not punctuated Universal Ref: Weil P. (2011). Chapter 37. Protein Synthesis & the Genetic Code. In D.A. Bender, K.M. Botham, P.A. Weil, P.J. Kennelly, R.K. Murray, V.W. Rodwell (Eds), Harper's Illustrated Biochemistry, 29e.